RK - 39 antigen testing is done in
1. Kala azar
2. Chagas disease
3. African sleeping sickness
4. American sleeping sickness

Correct answer: 1. Kala azar

Explanation: RK - 39 test is a Immunochromatographic test done in Kala azar.